Which of the following statement is TRUE about polio?
1. Paralytic polio is most common
2. Spastic paralysis
3. Increased muscular activity leads to increased paralysis
4. Polio drop given only in

Correct answer: 3. Increased muscular activity leads to increased paralysis

Explanation: Most of the Polio infections(95%) are asymptomatic. Paralysis occurs in only 0.01% cases of all poliovirus infections. The risk factors found to precipitate an attack of paralytic polio in individuals already infected with polio include, fatigue, trauma, IM injections, operative procedures like tonsillectomy undertaken especially during epidemics of polio and administration of immunizing agents. Pulse polio immunization is given to all children less than 5 years of age and not 3 years of age. Also Know: Vaccine-associated poliomyelitis is a remote risk with OPV. The hallmark of paralytic poliomyelitis is asymmetric flaccid paralysis, with no significant sensory loss. Ref: O.P. Ghai 6th Ed Page 210-212.